Which of the following is not associated with pulmonary artery hypertension?
1. Interstitial lung disease
2. Left ventricular hypertrophy
3. Mitral Stenosis
4. Cor - pulmonale

Correct answer: 2. Left ventricular hypertrophy

Explanation: Option 1: produces hypoxia to lead to PA vasoconstriction. Option 3: the transmission of back pressure changes leads to PAHOption 4: PAH is the culprit lesion leading to RVF.